Postponing paying attention of conscious impulse or conflict is mature defence mechanism known as
1. Sublimation
2. Suppression
3. Humor
4. Anticipation

Correct answer: 2. Suppression

Explanation: Sublimation: Gratification of an impulse whose goal is retained but whose aim or object is changed from a socially objectionable one to a socially valued one. Suppression: Conscious or semiconscious decision to postpone attention to a conscious impulse or conflict. Humour:overt expression of feelings without personal discomfort and without unpleasant effort on others. Anticipation: Realistic anticipation of or planning for future inner discomfort. Ref: Synopsis of Psychiatry, 11e, pg 161.